Root Value of Pudendal Nerve is:
1. S1S2S3
2. S2S3S4
3. S3S4S5
4. L5S1S2

Correct answer: 2. S2S3S4

Explanation: Ans. B. S2 S3 S4 The pudendal nerve (Root Value S2 S3 S4 ) is the main nerve of the perineum. It carries sensation from the external genitalia of both sexes and the skin around the anus and perineum, as well the motor supply to various pelvic muscles, including the male or female external urethral sphincter and the external anal sphincter. If damaged, most commonly by childbirth, lesions may cause sensory loss or fecal incontinence.